Rate of recurrence of breech presentation in the second pregnancy is
1. 5%
2. 10%
3. 15%
4. 20%

Correct answer: 2. 10%

Explanation: Following one breech delivery, recurrence rate for second pregnancy to have breech is 10% and that for a subsequent third pregnancy is 27%.